CD 5 lymphocyte is found in -
1. Hairy cell leukemia
2. Burkitt lymphoma
3. Follicular cell lymphoma
4. Mantle cell lymphoma

Correct answer: 4. Mantle cell lymphoma